About ASHA (Accredited Social Health Activist) true is all except
1. ASHA is skilled birth attendant
2. There is one ASHA worker per 1000 population
3. They are preferably females
4. Provides primary medical care for minor ailments

Correct answer: 1. ASHA is skilled birth attendant